Generalized body edema is associated with deficiency of?
1. Vitamin B12
2. Sodium
3. Albumin
4. EFAs

Correct answer: 3. Albumin

Explanation: Ans. is 'c' i.e., Albumin * When total plasma protein is below 5 gm/dl (normal 6-8 gm/dl) or albumin is below 2.5 gm/dl (normal 3.5-5 gm/dl) edema takes place.* Severe generalized edema is called anasarca.